Temperature centre is ?
1. Supraoptic nucleus of hypothalamus
2. Paraventricular nucleus of hypothalamus
3. Preoptic nucleus of hypothalamus
4. Suprachiasmatic nucleus of hypothalamus

Correct answer: 3. Preoptic nucleus of hypothalamus

Explanation: Ans. is'c'i.e., Preoptic nucleus of hypothalamus [Ry' Ganong 23'd/e p. 275)